CD-99 is marker of:
1. Ewing sarcoma
2. Chronic lymphocytic leukemia
3. Mantle cell lymphoma
4. All

Correct answer: 1. Ewing sarcoma

Explanation: Ewing sarcoma REF: Diagnostic musculoskeletal surgical pathology: clinicoradiologic and cytologic correlations, page 26, CD99 (Cluster of Differentiation 99) also known as MIC2 or single-chain type-1 glycoprotein is a human protein encoded by the CD99 gene. It is expressed on all leukocytes but highest on thymocytes and is believed to augment T-cell adhesion, apoptosis of double positive t cells and participates in migration and activation. There is also experimental evidence that it binds to cyclophilin A. It is positive in Ewing's sarcoma and Granulosa cell tumors. Type of cell CD markers Stem cells CD34, TdT Pre B & T cell (precursor lymphoma) TdT Pan leucocyte marker CD45 RB Naive T cell (medullary thymocytes) CD45 RA, CD45 RC Memory T cell (cortical thymocytes) CD45 RO Pan T cell marker CD 3 Pan B cell marker CD19 B Lymphocytes CD10 (calla antigen), CD19 to 23, CD79 a Mature B cell marker CD23 Myeloid series Anti MPO Granulocyte CD45, CD15 Monocyte CD45, CD14 T lymphocyte CD45, CD3 T helper cell CD45, CD3, CD4 Cytotoxic T cell CD45, CD3, CD8 Megakaryocytes/Platelets CD61, CD41, CD 45 Natural killer cell (NK) CD16, CD56 NK/T cell CD16, CD56, CD3 Plasma cell CD38 Reed Sternberg cell (Hodgkin's lymphoma) CD15, CD30 Langerhans cell S100, CD1a, CD56 EBV receptor CD 21 GIST CD117 (most specific), CD34